Foster's fusch's spots are seen in -
1. Hypermetropia
2. Pathological myopia
3. Astigmatism
4. None

Correct answer: 2. Pathological myopia

Explanation: Fundus changes in pathological myopia. 1. Optic disc appears large, pale and at its temporal edge characteristic myopic crescent is present. 2. Chorioretinal degeneration. 3. Foster-Fuchs' spot at the macula. 4. Vitreous shows synchysis and syneresis. 5. Posterior staphyloma may be seen. Foster-Fuchs' spot (dark red circular patch due to sub-retinal neovascularization and choroidal haemorrhage) may be present at the macula. Reference : A K KHURANA OPHTALMOLOGY,Edition 4, Page -34,560